Intraspecies competition is the competition among ?
1. Species
2. Individuals of a population
3. Individuals of a community
4. Populations and their regulatory factors

Correct answer: 2. Individuals of a population

Explanation: Ans. is 'b' i.e., Individuals of a population . Intraspecies competition - competition within a single population . Interspecies competition - is between two or more different population.